Reducing equivalents produced in glycolysis are transported from cytosol to mitochondria by
1. Carnitine
2. Creatine
3. Malate shuttle
4. Glutamate shuttle

Correct answer: 3. Malate shuttle

Explanation: Malate-Aspartate Shuttle Mitochondrial membrane is impermeable to NADH. The NADH equivalents generated in glycolysis are therefore to be transported from the cytoplasm to mitochondria for oxidation. This is achieved by malate-aspartate shuttle or malate shuttle, which operates mainly in the liver, kidney, and heart. The cycle is operated with the help of enzymes malate dehydrogenase (MDH) and aspartate aminotransferase. From one molecule of NADH in the mitochondria, 2 1/2 ATP molecules are generated.Ref: DM Vasudevan, 7th edition, page no: 260